ICD - 10 chapter 1 describes ?
1. Poisoning and consequences
2. Diseases of the nervous system
3. Infectious and parasitic diseases
4. Psychiatric diseases

Correct answer: 3. Infectious and parasitic diseases

Explanation: Ans. is 'c' i.e., Infectious and parasitic diseases The ICD-10 is arranged in 21 major chaptors.21 Chapters and their contentsChapter I includes 'Infectious and parasitic diseases'Chapter II includes Weoplams'Chapter III includes 'Diseases of blood & immune system'Chapter IV includes 'Endocrine, nutritional and metabolic disorders'Chapter V includes 'Mental & behavioral disorders'Chapter VI includes 'Diseases of nervous system'Chapter VII includes 'Diseases of eye'Chapter VIII includes 'Diseases of ear and mastoid'Chapter IX includes 'Diseases of CVS'Chapter X includes 'Diseases of respiratory system'Chapter XI includes 'Diseases of digestive system'Chapter XII includes 'Diseases of skin & subcutaneous tissue'Chapter XIII includes 'Diseases of musculoskeletal system'Chapter XIV includes 'Diseases of genitourinary system'Chapter XV includes 'Pregnancy childbirth and perperium'Chapter XVI includes 'Conditions of perinatal period'Chapter XVII includes 'Congenital malformation and genetic disorders'Chapter XVIII includes 'Clinical and laboratory findings not included elsewhere'Chapter XIX includes Injury, poisoning and other consequences of external causes.Chapter XX includes 'External causes of morbidity and mortility'Chapter XXI (21) includes Factors influencing health status and contact with health services